Amaurosis fugax caused by lesion/atherosclerosis in-
1. Internal carotid artery
2. Middle carotid artery
3. Anterior carotid artery
4. Basilar artery

Correct answer: 1. Internal carotid artery

Explanation: Ref: KV Krishna Das - Clinical Medicine 4th Edition pg no: 402 central retinal artery is a branch of ophthalmic artey ,The ophthalmic artery (OA) is the first branch of the internal carotid artery distal to the cavernous sinus Sudden, transient, monocular blindness, coming on like a curtain falling swiftly over the upper half of visual field and lasting for 5 to 15 minutes should suggest embolism of central retinal artery. This is called "amaurosis fugax". It may persist for a longer time if it leads to retinal infarction. Visual loss occurring at the onset of calssical migraine may also follow a similar pattern. It is due to vasospasm